All of the following nerves are posteriorly related to the kidney, EXCEPT?
1. Subcostal Nerve
2. Iliohypogastric Nerve
3. Lateral Cutaneous Nerve of the thigh
4. Ilioinguinal Nerve

Correct answer: 3. Lateral Cutaneous Nerve of the thigh

Explanation: Posterior to the kidney, between the quadratus lumborum muscle and the posterior surface of the kidney, are the subcostal nerve (T12) and vessels, the iliohypogastric and the ilioinguinal nerves (L1) passing inferolaterally. The lateral cutaneous nerve of the thigh is not posteriorly related to the kidney.